Movements of pronation and supination occurs in all the following upper limb joints, EXCEPT:
1. Superior radio - ulnar joint
2. Middle radio - ulnar joint
3. Inferior radio - ulnar joint
4. Radio - carpal joint

Correct answer: 4. Radio - carpal joint

Explanation: Supination and pronation movements are not possible in radio-carpal(wrist) joint because the articular surfaces are ellipsoid shaped. Supination and pronation movements are possible in superior, middle and inferior radio-ulnar joints. Ref: Human Anatomy, B D Chaurasia, 4th Edition, Volume 1, Chapter 10, Page 151; Clinical Anatomy by Regions, Richard S. Snell, 9th Edition, Chapter 9, Page 408-411.